Life-threatening complications of diabetes mellitus are all except -
1. Malignant otitis externa
2. Rhinocerebral mucormycosis
3. Emphysematous pyelonephritis
4. Emphysematous appendicitis

Correct answer: 4. Emphysematous appendicitis